All are clinical signs of malignant hyperthermia except-
1. Hypercarbia
2. Metabolic acidosis
3. Hypertension
4. Hypothermia

Correct answer: 4. Hypothermia

Explanation: It is hyper metabolic state producing hyperthermia. Clinical Manifestations of Malignant Hyperthermia: Early Signs: Elevated end-tidal carbon dioxide Tachypnea and/or tachycardia Masseter spasm, if succinylcholine has been used Generalized muscle rigidity Mixed metabolic and respiratory acidosis Profuse sweating Mottling of skin Cardiac arrhythmias Unstable blood pressure Late Signs Hyperkalemia Rapid increase of core body temperature- body temperature rises by 10C every 5 minutes Elevated creatine phosphokinase levels Gross myoglobinemia and myoglobinuria Cardiac arrest Disseminated intravascular coagulation